Plasma sterilization accuracy is assessed using -
1. Bacillus subtilis
2. Geobacillus stereothermophilus
3. Staphylococcus aureus
4. Clostridium tetani

Correct answer: 2. Geobacillus stereothermophilus

Explanation: Sterilization control Hot air oven Clostridium tetani non toxigenic strain, B. subtilis subsp niger Autoclave B. Stearothermophillus, Filtration Brivundimonas dimunata, Ionizing radiation B. Pumilus Ethylene oxide B. Globigi Plasma Sterilization B. Stearothermophillus